A baby is born prematurely at 29 weeks gestation by caesarean delivery done for fetal distress. Neonate develops tachypnea, nasal flaring, subcostal and intercostal retractions immediately after birth. Chest radiography shows bilateral, diffuse, ground glass appearance, air bronchograms and poor lung expansion. What is the best treatment plan in the present case?
1. Oxygen therapy
2. Surfactant administration and respiratory support
3. Emergency surgical repair of tracheoesophageal fistula
4. Only observation at this point

Correct answer: 2. Surfactant administration and respiratory support

Explanation: Best treatment plan- Surfactant administration and respiratory support ( moderate to severe RDS according to Silverman score) Treatment of RDS Mild RDS :- CPAP (Continuous positive airway pressure) Moderate to severe RDS- Intratracheal surfactant + Respiratory support + O2